The blood supply of the pulp is
1. Branches of maxillary artery
2. branches of internal carotid artery
3. Both
4. none

Correct answer: 1. Branches of maxillary artery

Explanation: Pulp is supplied by the various branches of maxillary artery.